Microspherocytosis in peripheral blood smear are seen in -
1. Sickle cell anemia
2. Autoimmune acquired haemolytic anaemia
3. Thalassemia
4. All of the above

Correct answer: 2. Autoimmune acquired haemolytic anaemia

Explanation: Answer is option 2 Hereditary spherocytosis (HS) is a familial hemolytic disorder associated with a variety of mutations that lead to defects in red blood cell (RBC) membrane proteins. The morphologic hallmark of HS is the microspherocyte, which is caused by loss of RBC membrane surface area and has abnormal osmotic fragility in vitro. Investigation of HS has afforded important insights into the structure and function of cell membranes and the role of the spleen in maintaining RBC integrity. Ref Robbins 9/e pg 409